The following statements are true regarding neutrophil extracellular trap
1. Produced by neutrophils in response to infectious pathogens and inflammatory mediators
2. Provide a high concentration of antimicrobial substances at sites of infection
3. Prevent the spread of the microbes by trapping them in the fibrils
4. All the above

Correct answer: 4. All the above

Explanation: Ans. (d) All the above(Ref: Robbins 9th/pg 81)Neutrophil extracellular traps (NETs) are extracellular fibrillar networks that provide a high concentration of antimicrobial substances at sites of infection and prevent the spread of the microbes by trapping them in the fibrils. They consist of a viscous meshwork of nuclear chromatin that binds and concentrates granule proteins such as antimicrobial peptides and enzymes